Drug causing peripheral neuropathy is?
1. Colchicine
2. Isoniazid
3. Nitrofurantoin
4. All of the above

Correct answer: 4. All of the above

Explanation: All of the above REF: Harrison 17' ed chapter 379, Lippincott's pharmacology 6th edition page 64 figure 7.1 Pharmaceutical agents causing peripheral neuropathy : Chloramphenicol Colchicine Dapsone Disulfiram Ethambutol Ethionamide Isoniazid Metronidazole Misonidazole Nitrofurantoin Nitrous oxide Nucleoside analogues (ddC, ddl, 4dT) Pyridoxine Suramin Taxol Thalidomide Vincristine and other vinca alkaloids